On performing refraction using a plane mirror on a patient who has a refractive error of -3 D sphere with -2 D cylinder at 900 from a distance of 1 metre under no cycloplegia, the reflex would be seen to move
1. With the movement in the horizontal axis and against the movement in the vertical axis
2. With the movement in both the axes
3. Against the movement in both the axes
4. With the movement in the vertical axis and against the movement in horizontal axis

Correct answer: 3. Against the movement in both the axes

Explanation: C i.e. Against the movement in both the axis The patient in question is having astigmatism because he has different refractive power in two axis (-3 D in horizontal & -2D in vertical axis). Thus in both the axis, myopia is of > 1D.